Auer rods are seen in which AML
1. M0
2. M3
3. M5
4. M7

Correct answer: 2. M3